All of the following are risk factors for neonatal HYPOCALCEMIA except
1. Maternal hyper/hypoparathyroidism
2. Exclusive Breast feeding
3. Exchange transfusion
4. Cow milk

Correct answer: 2. Exclusive Breast feeding

Explanation: Late-onset neonatal hypocalcemia The problem results when theneonate is fed with phosphate-rich formula or cow's milk. Whole cow'smilk has 7 times the phosphate load of breast milk (956 vs 140 mg/L inbreast milk). This may cause symptomatic hypocalcemia inneonates. Ref ganong's review of medical physiology 25e p426